Drug treatment for laryngeal stenosis is
1. Adriamycin
2. Mitomycin C
3. Cyclophosphamide
4. Doxorubicin

Correct answer: 2. Mitomycin C

Explanation: Mitomycin-C is an antineoplastic antibiotic that acts as an alkylating agent by inhibiting DNA and protein synthesis. ... Topical application of mitomycin-C (0.4 mg/mL) was used as an adjuvant treatment in the endoscopic laser management of laryngeal and tracheal stenosis Ref: Internet sources